Which of the following arises from pheryngeal bursa-
1. Thornwald's disease
2. Craniopharyngioma
3. Chordoma
4. Lymphoma

Correct answer: 1. Thornwald's disease

Explanation: Ans: A. Thornwald's disease(Ref: Scott-Brown's otolaryngologlt Vh/e vol-2 p. 161, 2122; Dhingra Sh/e p. 260]Thornwald's disease (Pharyngeal bursitis):Infection of the pharyngeal bursa which is a median recess representing attachment of notochord to endoderm of the primitive pharynx.Pharyngeal bursa is located in the midline of posterior wall of the nasopharynx in the adenoid mass.Asymptomatic lesions require no treatment.If treatment is required then de-roofing the cyst (marsupialization) is usually sufficient, and can be performed a transpalatal approach.